Kala-azar is not responding to primary treatment. The treatment should now consist of-
1. Double dose of antimony
2. Amphotericin - B
3. Ketoconazole
4. Splenectorny

Correct answer: 2. Amphotericin - B